Absolute contraindication of Combined OCP's are all except:
1. Smoking women beyond 35 years age
2. Women aged > 35 years
3. Lactation
4. Breast cancer

Correct answer: 2. Women aged > 35 years

Explanation: Absolute contraindications < 6 wks postpartum smoker over the age of 35 (>15 cigarettes per day) hypertension (systolic > 160mmHg or diastolic > 100mmHg) current or past history of venous thromboembolism (VTE) ischemic heart disease history of cerebrovascular accident complicated valvular heart disease (pulmonary hypertension, atrial fibrillation, history of subacute bacterial endocarditis) migraine headache with focal neurological symptoms breast cancer (current) diabetes with retinopathy/nephropathy/neuropathy liver tumour (adenoma or hepatoma) Relative contraindications smoker over the age of 35 (< 15 cigarettes per day) adequately controlled hypertension hypertension (systolic 140 - 159mmHg or diastolic 90 - 99mmHg) migraine headache over the age of 35 currently symptomatic gallbladder disease history of combined OCP-related cholestasis